Most common salivary gland tumor a -
1. Mucoepidermoid carcinoma
2. Pleomorphic adenoma
3. Warthims tumor
4. Oncocytoma

Correct answer: 2. Pleomorphic adenoma

Explanation: Pleomorphic Adenoma (Mixed Salivary Tumour)This is the most common tumour of major (60-75%) andminor (50%) salivary glands. Pleomorphic adenoma is thecommonest tumour in the parotid gland and occurs less oftenin other major and minor salivary glands. The tumour iscommoner in women and is seen more frequently in 3rd to5th decades of life. The tumour is solitary, smooth-surfacedbut sometimes nodular, painless and slow-growing. It is oftenlocated below and in front of the ear TEXTBOOK OF PATHOLOGY 6th edition pg no 534